'First rank 'symptoms of Schneider's' schizophrenia include all except
1. Depersonalization
2. Running commentary of ones thoughts
3. Primary delusion
4. Somatic passivity

Correct answer: 1. Depersonalization

Explanation: There are 11 first rank symptoms first three are related to thoughts - Thought insertion Withdrawal Broadcasting Next three are related to hallucinations - Thought Echo Running commentary 3RD person or voices are arguing Next three are made phenomena Made Volition Made Impulse Made affect (mood) Somatic passivity Delusional perception